Ectopia cordis is associated with the following organ ?
1. Lens
2. Lungs
3. Heart
4. Liver

Correct answer: 3. Heart

Explanation: Failure of fusion of the two sternal bars during embryonic development produces congenital sternal cleft, which may involve the upper, lower, or entire sternum. In its severe form, this defect is usually associated with ectopia cordis and congenital heart lesions. Ectopia cordis is location of the heart outside of the thoracic cavity, either lying on the outer surface or displaced superiorly to the neck or inferiorly to the abdomen.